First line drug used for painful diabetic neuropathy is?
1. Carbamazepine
2. Duloxetine
3. Venlafaxine
4. EMLA

Correct answer: 2. Duloxetine

Explanation: Ans. (b) DuloxetineRef: Harrison 18/e, chapter 384